Potassium-sparing diuretics are all except:
1. Spironolactone
2. Triamterene
3. Amiloride
4. Ethacrynic acid

Correct answer: 4. Ethacrynic acid

Explanation: classification: High efficacy diuretics - Furosemide, Bumetanide, Torasemide Medium efficacy( inhibit Na-Cl symport ) - Thiazides ( Hydrochlorothiazide, Benzthiazide, Hydroflumethiazide, Clopamide ), Thiazide-like (Indapamide, Xipamide, Metolazone) Carbonic anhydrase inhibitors - Acetazolamide Potassium-sparing - Spironolactone( Aldosterone antagonist), Amiloride, Triamterene ( inhibit renal epithelial Na channel ) Osmotic diuretics - Mannitol, Isosorbide, Glycerol ( Essentials of Medical Pharmacology, K.D Tripathi,6th edition, page 561 )